Best method of variability is -
1. Mean
2. Mode
3. Median
4. Standard deviation

Correct answer: 4. Standard deviation

Explanation: "Standard deviation is most common and generally most appropriate measure of dispersion (variation)". — Park